Gout is a disorder of-
1. Purine metabolism
2. Pyriniidine metabolism
3. Ketone metabolism
4. Protein metabolism

Correct answer: 1. Purine metabolism

Explanation: Gout is the most common inflammatory arthritis in men and in older women. It is caused by deposition of monosodium urate monohydrate crystals in and around synovial joints due to abnormal purine metabolism . Ref Davidsons 23e p1013